In a young female of reproductive age with regular menstrual cycles of 28 days, if ovulation occurs around 14th day of periods. When is the first polar body extruded?
1. 24 hours prior to ovulation
2. Accompanied by ovulation
3. 48 hours after the ovulation
4. At the time of fertilization

Correct answer: 2. Accompanied by ovulation

Explanation: Primary oocyte completes its first meiotic division at the time of ovulation giving rise to secondary oocyte and first polar body. Reference: Langman'"s Textbook of embryology 13th edition, page 28